Civatte bodies are found in:
1. Lichen planus
2. Psoriasis
3. Dermatophytosis
4. Vitiligo

Correct answer: 1. Lichen planus

Explanation: Ans is 'a' i.e, Lichen planus